All of the following are true about pachydermia laryngitis except
1. Hoarseness of voice
2. Premalignant condition
3. Involves posterior part of larynx
4. Biopsy shows acanthosis and hyperkeratosis

Correct answer: 2. Premalignant condition

Explanation: PACHYDERMIA LARYNGIS It is a form of chronic hypertrophic laryngitis affecting posterior part of larynx in the region of interarytenoid and posterior part of the vocal cords. Clinically, patient presents with hoarseness or husky voice and irritation in the throat. Indirect laryngoscopy reveals heaping up of red or grey granulation tissue in the interarytenoid region and posterior thirds of vocal cords; the latter sometimes showing ulceration due to constant hammering of vocal processes as in talking, forming what is called "contact ulcer." The condition is bilateral and symmetrical. It does not undergo malignant change. However, biopsy of the lesion is essential to differentiate the lesionfrom carcinoma and tuberculosis. Aetiology is uncertain. It is mostly seen in men who indulge in excessive alcohol and smoking. Other factors are excessive forceful talking and gastro-oesophageal reflux disease where posterior part of larynx is being constantly bathed with acid juices from the stomach. Treatment is removal of granulation tissue under operating microscope which may require repetition, control of acid reflux and speech therapy. Ref:- Dhingra; pg num:-292,293